Apparent volume of distribution of a drug exceeds total body fluid volume, if a drug is
1. Sequestrated in body tissues
2. Slowly eliminated from body
3. Poorly soluble in plasma
4. High bound to plasma proteins

Correct answer: 1. Sequestrated in body tissues

Explanation: Lipid insoluble drugs do not enter cell. Ref-KDT 6/e p18